Not a feature of postdated pregnancy :
1. Cord compression
2. Fetal distress
3. IUGR
4. Polyhydramnios

Correct answer: 4. Polyhydramnios

Explanation: Polyhydramnios